High plasma protein binding of a drug results in:-
1. Decreased glomerular filtration
2. High volume of distribution
3. Lowers duration of action
4. Less drug interaction

Correct answer: 1. Decreased glomerular filtration

Explanation: * High plasma protein binding (PPB) of a drug decreases its distribution into tissue and thus lower the volume of distribution. * As only free drug can be metabolized or excreted, high PPB usually increases the duration of action. * With higher PPB, there is more chance of getting displaced by other drugs leading to more drug interactions. * Drugs with high plasma protein binding have lesser glomerular filteration as proteins cannot be filtered across the glomerulus.